Most common malignancy of liver in children is:
1. Hepatoblastoma
2. Hepatocellular carcinoma
3. Lymphoma
4. None of the above

Correct answer: 1. Hepatoblastoma

Explanation: Hepatoblastoma is the most common malignancy of the liver in children, with most of these tumors diagnosed before 4 years of age. Hepatocellular carcinoma is the next most common, with a peak incidence between 10 and 15 years of age. Ref: Schwartz's principle of surgery 9th edition, chapter 39.